Commonest cause of obstructive hydrocephalus in children –
1. Acqueductal stenosis
2. Aqueductal gliosis
3. Subarachnoid hemorrhage
4. Tubercular meningitis

Correct answer: 1. Acqueductal stenosis